Which of the following is a cause of wide pulse pressure?
1. Aortic stenosis
2. Aortic regurgitation
3. Mitral stenosis
4. Tricuspid stenosis

Correct answer: 2. Aortic regurgitation

Explanation: Pulse pressure= SBP - DBP. Aortic stenosis or Mitral stenosis- SBP is low leading to reduction of pulse pressure. Tricuspid stenosis -Blood flow into right side of heart is reduced, so left side inflow is reduced-Reduction in SBP. Changes in Pulse Pressure Include: Increased Pulse pressure: Aortic Regurgitation, A-V shunt Decreased Pulse pressure: Aortic Stenosis, Mitral Stenosis Decreased Diastolic pressure: Aortic Regurgitation, Patent Ductus Arteriosus